All of the following antihistaminic agents lack anticholinergic property EXCEPT :
1. Promethazine
2. Astemizole
3. Levocetirizine
4. Loratadine

Correct answer: 1. Promethazine

Explanation: All the drugs listed in the question are second generation anti-histaminic agents except promethazine.